Tyndallisation is a type of-
1. Intermittent sterilization
2. Pateurisation
3. Boiling
4. Autoclaving

Correct answer: 1. Intermittent sterilization

Explanation: A single exposure of 90 minutes usually ensures sterilisation but for media containing sugars or gelatin an exposure of 100 degree celsius for 20 minutes on 3 successive days is used . This is known as tyndallisation or intermittent sterilisation REF:Ananthanarayan and Panicker's Textbook of Microbiology 8th Edition pg no:32